Maximum risk of carcinoma pancreas is seen in which of these?
1. Hereditary atypical multiple mole melanoma syndrome
2. Hereditary pancreatitis
3. Peutz-Jegher's syndrome
4. Familial adenomatous polyposis

Correct answer: 3. Peutz-Jegher's syndrome

Explanation: Note - Peutz Jeghers Syndrome - Max Risk for Ca - pancreas * Risk Factors Smoking/tobacco * Associations: Diabetes Obesity Chronic pancreatitis Hereditary Factors /genetic susceptibility Hereditary pancreatitis - AD HNPCC- AD Hereditary Breast and Ovarian Ca (BRCA - 2) - AD Ataxia Telangiectasia - AR Familial atypical multiple mole melanoma (FAMMM) syndrome - AD Peutz Jeghers Syndrome - AD